Which of the following is associated with anti-glomerulal basement membrane antibody ?
1. IgA nephropathy
2. Membranous glomerulonephritis
3. Goodpasture's syndrome
4. Mernbrano-proliferative glomerulonephritis

Correct answer: 3. Goodpasture's syndrome

Explanation: Repeated question